Which of the following drug is best avoided in a chronic alcoholic patient:
1. Naltrexone
2. Acamprostate
3. Disulfiram
4. Opioids

Correct answer: 4. Opioids

Explanation: Ans: D i.e. Opioids Drugs and uses Naltrexone (long acting opioid antagonist) helps prevent relapse of alcoholism. It reduces alcohol craving, number of drinking days and chances of resumed heavy drinking. Acamprostate is a weak NMDA-receptor antagonist with modest GABA-a receptor agonist activity, which is found to reduce relapse of the drinking behaviour. Disulfiram has been used as an aversion technique in chronic alcoholics who are motivated and sincerely desire to leave the habit. Alcohol synergises with opioids leading to marked CNS depression with motor impairment. Chances of accidents increases.